Crown en-masse fracture is:
1. Ellis 1 fracture
2. Ellis 2 fracture
3. Ellis 8 fracture
4. Ellis 7 fracture

Correct answer: 3. Ellis 8 fracture

Explanation: Class I: Simple fracture of the crown involving enamel.
Class II: Extensive fracture of the crown, with considerable amount of dentin involved but no pulp exposure.
Class III: Extensive fracture of the crown, with considerable amount of dentin involved, with pulp exposure.
Class IV: Traumatized tooth becomes nonvital (with or without loss of crown structure).
Class V: Tooth lost due to trauma.
Class VI: Fracture of root with or without crown or root structure.
Class VII: Displacement of the tooth without crown or root fracture.
Class VIII: Fracture of crown en masse.
Class IX: Fracture of deciduous teeth.